Pinta is caused by:
1. Treponema pertenue
2. Treponema carateum
3. Treponema pallidum
4. Treponema endemicum

Correct answer: 2. Treponema carateum

Explanation: Pinta Non-sexually transmitted spircohetal infection caused by Treponema carateum. Three sub-species of T. pallidum are known: T. pallidum, which causes syphilis T. endemicum, which causes bejel or endemic syphilis T. pertenue, which causes venereal syphilis or yaws